Which of the following drugs cause Heterochromia iridis?
1. Latanoprost
2. Prednisolone
3. Timolol
4. Olopatadine

Correct answer: 1. Latanoprost

Explanation: Ans. a. Latanoprost (Ref. Katzung 12/e p328)Latanoprost causes heterochromia iridis.Latanoprost, a stable long-acting PGF2-aIpha derivative, was the first prostanoid used for glaucoma. The success of latanoprost has stimulated development of similar prostanoids with ocular hypotensive effects, and bimatoprost, travoprost, and unoprostone are now available. These drugs act at the FP receptor and are administered as drops into the conjunctival sac once or twice daily. Adverse effects include irreversible brown pigmentation of the iris and eyelashes, drying of the eyes, and conjunctivitis. "--Katzung 12/e p328"Acquired Heterochromia: Heterochromia that is acquired is usually due to injury, inflammation. the use of certain eye drops that damages the iris, or tumors. Prostaglandin analogues (latanoprost, isopropyl unoprostone, travoprost, and bimatoprost) are used topically to lower intraocular pressure in glaucoma patients. A concentric heterochromia has developed in some patients applying these drugs. "Heterochromia of irisCongenital anomaly characterized by variations in the iris colourHeterochromia iridium: Colour of one iris differs from the other.Heterochromia iridis: One sector of the iris differs from the remainder of iris.Causes of Heterochromia iridis* Waardenburg syndromeQ* Fuch's heterochromic iridocyclitisQ* Homer syndromeQ* Melanosis oculi* Drugs: Prostaglandin analogues (LatanoprostQ)* Iris melanoma